Joint spared in RA -
1. PIP
2. DIP
3. MCP
4. Wrist

Correct answer: 2. DIP

Explanation: Ans. is 'b' i.e., DIP JointImportant arthritis i nvoiving the j ointDistai interphalangeal jointProximal interphalangeal jointMetacarpophalangeal joint1st Carpometacarpal jointWristOsteoarthritis, Psoriatic arthritis. Reactive arthritisOsteoarthritis, RA, SLE, Psoriatic arthritisRA, pseudogout, hemochromatosisOsteoarthritisRA, Pseudogout, gonococcal arthritis, juvenile arthritisSpared joint o Wrist and MTPo DIPOsteoarthritisRA